Which of the following is not true regarding enterococcus ?
1. Common species are E. faecalis and E. faecium
2. It is a cause for peritonitis
3. It is universally susceptible to penicillins
4. Can cause intra-abdominal abscess

Correct answer: 3. It is universally susceptible to penicillins

Explanation: Ans. (c) It is universally susceptible to penicillins Enterococci are resistant to penicillin Disease caused by Enterococci UTI (particularly who are on antibiotic treatment) Bacterial endocarditis Liver abscess, intra-abdominal abscess Surgical wound infection.